Which one of the following nutrient is more in the human milk as compared to cow's milk –
1. Protein
2. Calcium
3. Carbohydrate
4. Fat

Correct answer: 3. Carbohydrate